Froment test is to check which muscle
1. Abductor policis
2. Palmar interosseous
3. Adductor pollicis
4. Dorsal interosseous

Correct answer: 3. Adductor pollicis

Explanation: Froment sign - compensatory flexion of interphalangeal joint of thumb due to paralysis of adductor policis Adductor policis supplied by deep branch of ulnar nerve